All of the following are true about para hemophilia except?
1. Due to fracture V deficiency
2. X-link recessive
3. Prolonged PTT and PT
4. All are true

Correct answer: 2. X-link recessive

Explanation: Ans. B. X-link recessivea. Deficiency of factor V is an autosomal recessive, mild to moderate bleeding disorder that has also been termed parahemophilia. Hemarthroses occur rarely; mucocutaneous bleeding and hematomas are the most common symptoms.b. Severe menorrhagia is a frequent symptom in women. Laboratory evaluation shows prolonged PTT and PT. specific assays for factor V show a reduction in factor V levels.c. FFP is the only currently available therapeutic product that contains factor V. Factor V is lost rapidly from stored FFP.d. Patients with severe factor V deficiency are treated with infusions of FFP at 10mL/kg every 12hr. Rarely, a patient with a negative family history of bleeding has an acquired antibody to factor V. Often, these patients do not bleed because the factor V in platelets prevents excessive bleeding.